The hilum of the right lung is arched by:
1. Recurrent laryngeal nerve
2. Azygos vein
3. Thoracic duct
4. Vagus nerve

Correct answer: 2. Azygos vein

Explanation: B i.e. Azygous vein